Trendelenberg test is negative in
1. Polio myelitis
2. Superior Gluteal nerve
3. Inferior Gluteal nerve
4. Posterior dislocation of lip

Correct answer: 3. Inferior Gluteal nerve